NSAID used commonly for topical ocular use is
1. Ibuprofen
2. Aceclofenac
3. Ketorolac
4. Acetaminophen

Correct answer: 3. Ketorolac

Explanation: Commonly used topical ocular NSAIDS Ketorolac Flurbiprofen Diclofenac sodium Reference: AK Khurana Comprehensive Ophthalmology, 6th edition, pg no. 454 - 455